Which of the following complement component can be activated in both common as well as alternative pathways?
1. C1
2. C2
3. C3
4. C4

Correct answer: 3. C3

Explanation: The complement proteins can be activated by 3 pathways; classical, lectin and alternate pathways. Terminal pathway is common to the first three pathways and is present at the level of post activation stage of C3. It eventually leads to the membrane attack complex that lyses cells. C3 is the first common complement protein to be activated in both classical and alternate pathway.